Increased radiolucency of one sided hemithorax may he caused by all the following except:
1. Obstructive emphysema
2. Pneumothorax
3. Expiratory film
4. Rotation

Correct answer: 3. Expiratory film

Explanation: Ans. Expiratory film